Platelet function is assessed by:
1. Platelet adhesion
2. BT
3. PFA-100
4. All of the above

Correct answer: 4. All of the above

Explanation: Platelet function assessment: - PFA-100--This is a test to measure the platelet adhesion-aggregation in response to agonist combination like collagen epinephrine or collagen-ADP. - Bleeding time--The usual bleeding time is 4-8 minutes. Bleeding for a longer time suggests platelet defects.